Juvenile angiofibroma confined to nasal cavity, preferred approach for surgery -
1. Transnasal endoscopic
2. Transpalatal
3. Lateral rhinotomy
4. Transmaxillary

Correct answer: 1. Transnasal endoscopic

Explanation: Ans. is 'a' i.e., Transnasal endoscopic Staging of juvenile nasopharyngeal aniofibroma (Modified sessions, et al)IA:Limited to nose and/or nasopharyngeal vaultIB :Extension into > 1 sinus11 A:Minimal extension into PMFII B:Full occupation of PMF with or without erosion of orbital bonesIIC:ITF with or without cheek or posterior to pterygoid platesIII A:Erosion of skull base-minimal intracranialIII B:Erosion of skull base-extensive intracranial with or without cavernous sinus Proposed staging and surgical protocol for JNAModified sessionsSurgical approachIA, IB, IIAEndoscopic transnasalIIBExcision via lateral rhinotomyIICExcision via Weber-FergussonIII AExcision via Weber-Fergusson and its extensions/maxillary swing/craniotomyIIIBRadiotherapy (IMRT)